All are features of a normal venous doppler except?
1. Triphasic pattern
2. Flow Ceases with Valsalva
3. Flow Augmentation with Distal Compression
4. Compressibility

Correct answer: 1. Triphasic pattern

Explanation: Normal Venous doppler is Monophasic with Respiratory and Cardiac Phasicity. High Resistance Peripheral Arteries show a Triphasic pattern.